Most accurate statement regarding DIC is
1. Removal of the underlying cause leads to complete resolution
2. Associated with increased serum fibrinogen levels
3. Normal clotting parameters excludes DIC
4. DIC is associated with increased levels of D-dimer

Correct answer: 4. DIC is associated with increased levels of D-dimer

Explanation: . DIC is associated with increased levels of D-dimer